In a patient of total parenteral nutrition daily monitoring is done with
1. Body weight
2. Plasma protein
3. CBC
4. Plasma osmolality

Correct answer: 1. Body weight

Explanation: Fluid overload can be avoided by daily weighing of the patient. A weight change of >1 kg/day normally indicates fluid retention. PG NO.282 27th edition BAILEY